The drug of choice for status epilepticus is ?
1. Propofol
2. Lorazepam
3. Thiopentone
4. Haloperidol

Correct answer: 2. Lorazepam

Explanation: Ans. is 'b' i.e., Lorazepam